Scrotal calcifications in fetal sonography may be seen in:
1. Testicular torsion
2. Hydrocele
3. Meconium ileus
4. All of the above

Correct answer: 3. Meconium ileus

Explanation: Meconium ileus can be either uncomplicated, in which there is no intestinal perforation, or complicated, in which prenatal perforation of the intestine has occurred or vascular compromise of the distended ileum develops. Antenatal ultrasonography may reveal the presence of intra-abdominal or scrotal calcifications, or distended bowel loops. Ref: Schwartz's principle of surgery 9th edition, chapter 39.